Oral contraceptive failure may be seen with ?
1. Rifampicin
2. Cimetidine
3. Propranolol
4. Ethambutol

Correct answer: 1. Rifampicin

Explanation: Ans. is 'a' i.e., Rifampicin o Contraceptive failure may occur if the following drugs are given concurrently : (a) Enzyme inducer --> Enhances the metabolism of estrogen & progesterone. Phenytoin 3. Carbamazepine 5. Primidone Phenobarbitone 4. Rifampicin 6. Griseofulvin (b) Suppression of intestinal microflora enterohepatic circulation. 1. Tetracyclines 2. Ampicillin